True about morula:
1. 8-cell stage
2. 16-cell stage
3. Solid mass with fluid inside
4. Ach. Barrier present

Correct answer: 2. 16-cell stage

Explanation: B. i.e. 16 cell stage